After intake of NSAID tablet a lady complains of difficulty in breathing and appearance of bee hives. Pulse rate is 100 and BP is 90/60 mm Hg. Diagnosis is:
1. Massive pulmonary embolism
2. Neurogenic shock
3. DIC
4. Anaphylaxis

Correct answer: 4. Anaphylaxis

Explanation: Ans. (d) AnaphylaxisRef: Harrison 19th ed. / 2116The life-threatening anaphylactic response of a sensitized human appears within minutes after systemic exposure to specific antigen and is manifested by* Respiratory distress due to laryngeal edema* Intense bronchospasm* Vascular collapse, or by shock without antecedent respiratory difficulty.* Cutaneous manifestations exemplified by pruritus and urticaria with or without angioedema are characteristic of such systemic anaphylactic reactions.* Gastrointestinal manifestations include nausea, vomiting, crampy abdominal pain, and diarrhea.